Non sense mutation is seen in -
1. AIHA
2. Thalassemia
3. Sickle cell anemia
4. Hemophilia

Correct answer: 2. Thalassemia

Explanation: Ans. is 'b' i.e., Thalassemia Nonsense mutation is seen in beta-thalassemia, cystic fibrosis, Duchenne muscular dystrophy and Hurler syndrome.